Treatment of squamous anal carcinoma is:
1. Abdomino perineal resection
2. Laser
3. Chemoradiotherapy
4. Platinum based chemotherapy

Correct answer: 3. Chemoradiotherapy

Explanation: Ans. (c) ChemoradiotherapyRef: Page 1266/ Bailey 26th editionNigro Regimen:* Chemo radiation is the latest treatment for squamous cell cancer.* Chemotherapy used are- 5FU + Mitomycin or Cisplatin